Brodmann  Area no. constitutes Wernicke’s area of speech
1. 41, 42, 22
2. 22, 42, 39
3. 42, 41, 44
4. 22, 39, 40

Correct answer: 4. 22, 39, 40

Explanation: Wernicke’s area is sensory speech centre of brain. It is constituted by area no 22-auditory association area.
Area no 39-angular gyrus and Area no 40-supramarginal gyrus.